Which of the following statements is true about rabies virus?
1. It is double stranded RNA virus
2. Contains a DNA - dependent RNA polymerase
3. RNA has a negative polarity
4. Affects motor neurons

Correct answer: 3. RNA has a negative polarity

Explanation: Ans. is 'c' i.e., RNA has negative polarity(Ref: Ananthanarayan, 9th/e, p. 510, 532 and 8th/e, p. 525)* It is an enveloped, RNA (negative sense ss RNA) virus.* It has RNA dependent RNA polymerase. Q* Rabies virus multiplies in muscle or connective tissue at the site of inoculation and then enters peripheral nerves at neuromuscular junctions and spreads up the nerves to the central nervous system. It multiplies in the central nervous system and progressive encephalitis develops. The virus then spreads through peripheral nerves to the salivary glands and other tissues.